In xerophthalmia classification X2 stage is -
1. Bitots spots
2. Corneal xerosis
3. Corneal ulceration
4. Corneal scar

Correct answer: 2. Corneal xerosis

Explanation: xeraphthalmia:- *The most characteristic and specific signs of vitamin A deficiency are eye lesions. *These develop before the age of 2years. *The term xerophthalmia comprises all the occular manifestations of vitamin A deficiency. WHO classification (1982) *The new xerophthalmia classification is as follows: *XN Night blindness *X1A Conjunctival xerosis *X1B Bitot's spots *X2 Corneal xerosis *X3A Corneal ulceration affecting less than one-third corneal surface. *X3B Corneal ulceration affecting more than one-third corneal surface. *XS Corneal scar due to xerophthalmia XF Xerophthalmic fundus. Ref: Khurana 7th/e p.487